Commonest site of peptic ulcer perforation -
1. Anterior aspect of the first part of duodenum
2. Posterior aspect of the 1st part of duodenum
3. Greater curvature of the stomach
4. Lesser curvature of the stomach

Correct answer: 1. Anterior aspect of the first part of duodenum